Intracellular receptors are present for -
1. Estrogen
2. Vitamin D
3. Thyroxine
4. All of the above

Correct answer: 4. All of the above

Explanation: Ans. is 'd' i.e., AH of the above TYPES OF RECEPTORSMembrane receptorso Present on the cell membrane.o Their drug/hormone binding domain is extracellular and effector domain is intracellular.These are:1. G protein coupled receptors - It may act through.Adenylvl cyclase| cAMP - TSH, FSH, LH, ACTH, glucagon, PTH, adrenaline, calcitonin, vasopressin (V2).| cAMP - PRIH (Dopamine)IP.-DAG (Ca2- and protein kinase 'c') - Vasopressin (V1), oxytocin.Channel regulation (Ca+2, K+ Na+)2. Receptor with Intrinsic ion channels - (Na+, K+, Ca+2 or Cl-)3. Enzyme linked receptorsIntrinsic enzyme receptors (tyrosine kinase receptors) - Insulin.JAK-STAT kinase binding receptors Growth hormone. Prolactin.Intracellular receptors (transcription factors)o Present inside the cell and induce synthesis of specific protein by increasing the expression of specific gene.1. Cytoplasmic - Glucocorticoids, Mineralocorticoids, Androgens, Progestins.2. Nuclear - Thyroxine, Triiodothyronine, Estrogen, retinoic acid, Vit D.